International food standards include
1. BIS standards
2. Codex alimentarius standards
3. AgMark standards
4. PFA standards

Correct answer: 2. Codex alimentarius standards